Caries sicca is seen in -
1. Hip
2. Shoulder
3. Knee
4. None of the above

Correct answer: 2. Shoulder

Explanation: Ans. is 'b' i.e., Shoulder o Shoulder joint tuberculosis, at times, may not produce any pus etc., and hence is called "caries sicca' and should always be considered in differential diagnosis of much commoner shoulder problem - 'Frozen shoulder'.